Which of the following is NOT caused by sympathetic stimulation?
1. Increased BP
2. Increased HR
3. Increased venous capacitance
4. Increased total peripheral resistance

Correct answer: 3. Increased venous capacitance

Explanation: Increased venous capacitance is NOT caused by sympathetic stimulation. Important effects of increased sympathetic stimulation: Arteriolar vasoconstriction Increased stroke volume Increased heart rate Venoconstriction and decrease in venous capacitance The increase in mean systemic filling pressure is caused mainly by venous contraction. All these efffects together about an increased arterial pressure. Ref: Guyton and Hall 13th edition Pgno: 260